Which of the following is true regarding hypospadias?
1. It is attributed to failure of complete urethral tubularisation in the fetus
2. Urethral opening is most commonly in the perineum
3. Urethra opens proximally and dorsally
4. It is seen in 1 in 1500 boys

Correct answer: 1. It is attributed to failure of complete urethral tubularisation in the fetus

Explanation: Hypospadias results of urethra folds is incomplete, and urethral meatus opens on the undersideof penis or perineum (ventral surface of penis).o Occurs in 1:250 male births and multifactorial in inheritance.o Hypospadias is MC congenital malformation of urethra.*Commonest is glanular * Management:-- Treatment is not required in anterior variety. (repair is done for cosmetic types)- Optimal time of repair is 6-12 months.- Meatal advancement or local skin flap advancement is the surgical procedure done along with removal of chordee.